Intracytoplasmic injection of sperm is done when the infertile male has sperm count less than?
1. 3 million/ml
2. 4 million/ml
3. 5 million/ml
4. 6 million/ml

Correct answer: 3. 5 million/ml

Explanation: Ans. is 'c' i.e., 5 million/mlIndications of ICSI in male infertility comprise:Sperm count less than 5 million/mL. Decreased or absent motility of sperms.Many abnormal sperms. Previous failed IVF.Unexplained infertility.